Stapedius muscle is supplied by:
1. 5th nerve
2. 6th nerve
3. 7th nerve
4. 8th nerve

Correct answer: 3. 7th nerve

Explanation: (7th nerve): Ref: 225-LT (91-D 4th)STAPEDIUS MUSCLE - after emerging from the pyramid, is inserted into the neck of the stapes* It has an action of damping the movement of the stapes by tilting outwards the anterior end of the foot plate.* Supplied by facial nerveTENSOR TYMPANI MUSCLE - arise from the cartilaginous part of the auditory tube from the adjacent part of the greater wing of the sphenoid and from the bony canal* Its action is to tense the tympanic membrane by drawing it medially* Supplied by motor division of the trigeminal nerve, through the otic ganglion* Tympanic plexus is formed by the ramification of the tympanic nerve (Jacobson's nerve) which is a branch of the glassoparyngeal nerve.